Which is provided by linear accelerator-
1. Electron
2. Neutron
3. Proton
4. Infrared rays

Correct answer: 1. Electron